Arrange superficial to deep disease : A) Pemphigus vulgarisB) Linear IgAC) Bullous pemphigoidD) Epidermolysis bullosa dystrophica
1. D>A>C>B
2. C>A>D>B
3. A>C>B>D
4. D>A>B>C

Correct answer: 3. A>C>B>D

Explanation: Disease Involvement of Layer A) P.Vulgaris Dsg 3 > Dsg 1 Epidermis B) B.Pemphigoid BPAg2 > BPAg1 Upper portion BM C) Linear lgA BPAg2 > BPAg1 Upper BM Salt split Layer (Lamina lucidosis) D) E.B.D(Epidermolysis bullosa Dystrophica) Collagen 7 Lower BM